Meningitis is caused by
1. Sporothrix
2. Mucor
3. Rhizopus
4. Cryptococcus neoformans

Correct answer: 4. Cryptococcus neoformans

Explanation: Ans. d (Cryptococcus neoformans). (Ref. Anantanarayan, Microbiology, 6th/pg.574)CRYPTOCOCCUS NEOFORMANS# Capsulated yeast# Not dimorphic fungus# Four serotypes known - ABCD# Has ability to hydrolyse urea# Indian ink preparation: the yeast cell stain positive with mucicarmine# Latex agglutination test is the most useful test to detect capsular ags in blood or urine.# Pigeon droppings transmit the infection.# Causes pulmonary and meningeal infection.